Melanocytes are Present in-
1. Stratum corneum
2. Stratum basale
3. Stratum granulosum
4. Dermis

Correct answer: 2. Stratum basale

Explanation: stratum basale comprising columnar or cuboidal keratinocytes which are interspersed with melanin production cells, called melanocytes, at regular intervals. Melanocytes are pigment producing cells located in the skin, inner ear ,choroid and iris of the eye derived from neural crest. They produce melanin, package it in organelles known as melanosomes and transfer it long dendrites to epidermal and hair follicle keratinocytes. The average number of Melanocytes is one out of ten cells in the basal row. Ref Harrison20th edition pg 1208